Pathogenesis of all of the following is granulomatous except
1. Wagner's granulomatosis
2. Burgers diseases
3. Takayasu arteritis
4. Microscopic angitis

Correct answer: 4. Microscopic angitis

Explanation: Refer robbins 9/e 510 Microscopic Polyangiitis (MPA) Microscopic polyangiitis is a disease that results from blood vessel inflammation that can result in damage to organ systems. Areas most commonly affected by MPA include the kidneys, lung, nerves, skin, and joints. Robbins clearly mentions" microscopic polyangiitis is characterized by segmental fibrinoid necrosis of the media with focal transmural necrotizing lesions, granulomatous lesions are absent